Central tendency is given by -a)  Meanb)  Medianc)  Moded)  Variancee) Range
1. ab
2. bc
3. abc
4. bcd

Correct answer: 3. abc

Explanation: Statistical averages 

An average or central tendency of a data set refers to a measure of the middle or expected value of the data set.
That means, average implies a value in the distribution around which the other value are distributed.
It gives a mental picture of the central value.
The commonly used statistical averages are -


Arithmetic mean (or mean)
Median
The mode